TRUE statement regarding childhood malignancy is-
1. Wilm's tumour is the commonest
2. AML is the most common malignancy
3. Neuroblastoma arises in the first 4 years
4. None of the above

Correct answer: 3. Neuroblastoma arises in the first 4 years

Explanation: Ans. is 'c' i.e., Neuroblastoma arises in the first 4 years Childhood malignancies i) Most common tumor in childhood is leukemias especially acute lymphoblastic leukemia. ii) Second most common tumor Brain tumors in) Third most common tumor --> Lymphomas iv)Fourth most common tumor --> Neuroblastoma v) Fifth most common tumors --> Wilms tumor o Most of these tumors occur below the age of 5 years